All are seen in papilledema after a head injury except :
1. Blurring of disc margin
2. Hyperemia
3. Afferent pupillary defect
4. Filling of cup

Correct answer: 3. Afferent pupillary defect

Explanation: C i.e. Afferent pupillary defect Head injury leads to incrrease in ICT which is a/w papilloedema. And afferent papillary defect is seen in optic neuritis not papilloedemaQ